Which of the following nephrons has long loops of Henle?
1. Cortical nephrons
2. Juxtamedullary nephrons
3. Outer cortex
4. None of the above

Correct answer: 2. Juxtamedullary nephrons

Explanation: The majority of nephrons are cortical, with glomeruli located in the mid-to-outer cortex. Fewer nephrons are juxtamedullary, with glomeruli at the boundary of the cortex and outer medulla. Cortical nephrons have short loops of Henle, whereas juxtamedullary nephrons have long loops of Henle. Ref: George, A.L., Neilson E.G. (2012). Chapter 277. Cellular and Molecular Biology of the Kidney. In D.L. Longo, A.S. Fauci, D.L. Kasper, S.L. Hauser, J.L. Jameson, J. Loscalzo (Eds), Harrison's Principles of Internal Medicine, 18e.